Erysipeloid is transmitted by
1. Droplet
2. Feco-oral Mosquito bite
3. Mosquito bite
4. Contact with animal

Correct answer: 4. Contact with animal

Explanation: ERYSIPELOID Caused by Erysipelothrix rhusiopathiae present on dead animal matter (swine) Transmitted by contact with animal Presents as pain, swelling and purplish erythema at the site of inoculation Causes Whale finger Penicillin - DOC